All are true about ischemic colitis except :
1. IMA is commonly occluded in cases needing aortic ischemia
2. Ischaemia is more common in small bowel as compared to large bowel
3. Most common site of post ischemic structure is sigmoid
4. Transection of IMA doesnt need reimplantation if aortic surgery is attempted

Correct answer: 2. Ischaemia is more common in small bowel as compared to large bowel

Explanation: Indeed, the IMA is frequently occluded in conditions requiring aortic surgery, and in such circumstances, transection of the IMA does not require reimplantation. However, in this situation, the left colon is dependent on collateral blood supply, and transient hypotension at the time of the vascular procedure or immediately after surgery may result in ischemic injury to the vulnerable colonic mucosa In aortic surgery, the IMA is assessed for backbleeding. If there is strong backbleeding (stump pressure > 40 mmHg), the IMA is ligated close to the aorta or over sewn from within the sax. Poor backbleeding from the IMA is a sign of insufficient collateral circulation to the sigmoid colon, and reimplantation of the IMA with a patch of the aorta into the aortic limb is warranted Ref: Sabiston 20th edition Pgno : 1356